Index of severity of malnutrition is -
1. Weight for height
2. Height for age
3. Weight for age
4. None

Correct answer: 1. Weight for height

Explanation: Ans. is `a' i.e., Weight for height o Weight for height (wasting) Acute malnutrition (represents severity). 3 Height for age (Stunting) Chronic malnutrition (represents duration).